Blood supply of Lt ureter are:
1. Uterine artery
2. Inferior vesicle artery
3. Testicular artery
4. All

Correct answer: 4. All

Explanation: A. i.e. Uterine A.; B. i.e. Inferior Vesicle A.; C. i.e. Testicular A